Patient is being treated with clomiphene for infertility method of choice to look for ovulation :
1. Serial ultrasound
2. Chest X-ray
3. Serial HCG
4. None

Correct answer: 1. Serial ultrasound

Explanation: Serial ultrasound